Secobarbitone is ?
1. Long acting barbiturate
2. Intermediate acting barbiturate
3. Short acting barbiturate
4. Ultra short acting barbiturate

Correct answer: 3. Short acting barbiturate

Explanation: Ans. is 'c' i.e., Short acting barbiturate Long acting barbiturates - Phenobarbitone, Mephobarbitone. Short acting barbiturates - Butobarbitone, secobarbitone, Pentobarbitone. Ultrashort acting - Thiopentone, Methohexitone, Hexobarbitone.